Antiphospholipid antibody syndrome is associated with all, EXCEPT:
1. Recurrent abortion
2. Venous thrombosis
3. Pancytopenia
4. Antibody to lupus

Correct answer: 3. Pancytopenia

Explanation: Antiphospholipid antibody syndrome usually affects older women. It result from autoantibodies directed against phospholipid. Patients usually develop recurrent episodes of thrombosis, thrombocytopenia and recurrent abortions. Antibodies commonly found in these patients are anticardiolipin antibody IgG or IgM anti beta 2 glycoprotein 1 IgG or IgM, lupus anticoagulant. Treatment: Patients with APLA syndrome should be treated with anticoagulation for life. Warfarin is given to patients to maintain an INR of 2-3. Pregnant patients with APLAS are given subcutaneous heparin and low dose aspirin.